In CNS, the myelination is carried out by:
1. Schwann cells
2. Astrocytes
3. Oligodendrocytes
4. Microgila

Correct answer: 3. Oligodendrocytes